Third tubercle of femur provides attachment to?
1. Gluteus maximus
2. Gluteus medius
3. Gluteus minimis
4. Piriformis

Correct answer: 1. Gluteus maximus

Explanation: Ans. (a) Gluteus maximusRef: Gray's anatomy 39th ed. H433